Akathisia is treated by all except:
1. Trihexyphenodyl
2. Propanodol
3. Haloperidol
4. Promethazine

Correct answer: 3. Haloperidol

Explanation: Ref: KDT 6/e p431 *Akathisia is a side effect of antipsychotic drugs like haloperidol: It is treated with - Central anticholinergics like Trihexyphenidyl - First generation antihistaminics like Promethazine *Propanolol *Diazepam